Tongue is protruded by which of the following muscle: (Repeat)
1. Hyoglossus
2. Palatoglossus
3. Myelohyoid
4. Genioglossus

Correct answer: 4. Genioglossus

Explanation: Ans: D (Genioglossus) Ref: Grays Anatomy 40th Ed pg.499Explanation:Genioglossus is a extrinsic muscle of the tongueIt forms the bulk of the tongue muscle and traversed by intrinsic muscles of tongueIt arises from a short tendon attached to the superior genial tubercle behind the mandibular symphysisFrom this point it fans out backwards and upwards.It is also called as safety muscle of the tongue due to it prevents the fall back of the tongueVascular supply -Genioglossus is supplied by the sublingual branch of the lingual artery and the submental branch of the facial artery.Innervation - Genioglossus is innervated by the hypoglossal nerve.ActionsBrings about the forward traction of the tongue to protrude its apex from the mouth.Acting bilaterally, the two muscles depress the central part of the tongue, making it concave from side to side.Acting unilaterally, the tongue diverges to the opposite side.